Cremaster muscle is supplied by:
1. Genital Branch of pudendal Nerve
2. Genital Branch of obturator Nerve
3. Genital Branch of femoral Nerve
4. Genital Branch of Genitofemoral Nerve

Correct answer: 4. Genital Branch of Genitofemoral Nerve

Explanation: Ans. D. Genital Branch of Genitofemoral NerveThe cremaster muscle is a thin layer of striated and smooth muscle found in the inguinal canal and scrotum between the external and internal layers of spermatic fascia, surrounding the testis and spermatic cord. The cremaster muscle is a paired structure, there being one on each side of the body.The cremaster muscle is innervated from the genital branch of the genitofemoral nerve.